Ovate pontic are used in:
1. Well rounded ridges
2. Knife edged ridges
3. Recently extracted tooth sockets
4. Flat ridges

Correct answer: 3. Recently extracted tooth sockets